Which of the Fluoroquinolone is associated with Fatal Hypoglycemia?
1. Lomefloxacin
2. Sparfloxacin
3. Trovafloxacin
4. Gatifloxacin

Correct answer: 4. Gatifloxacin

Explanation: Gatifloxacin Is associated with Hyperglycemia in Diabetic patients. It is associated with Hypoglycemia in patients also receiving Oral Hypoglycemic agents. Because of these serious effects (including some fatalities), Gatifloxacin was withdrawn. Prolongation of the QTc interval may occur with Gatifloxacin, Levofloxacin, Gemifloxacin, and Moxifloxacin; these drugs should be avoided or used with caution in patients with known QTc interval prolongation or uncorrected Hypokalemia; in those receiving class 1A (e.g Quinidine or Procainamide) or Class 3 Antiarrhythmic agents (Sotalol, Ibutilide, Amiodarone); and in patients receiving other agents known to increase the QTc interval (e.g Erythromycin, Tricyclic antidepressants).